Bacteria that can grow even in the presence of antiseptic:
1. Staphylococcus
2. Streptococcus
3. E. coli
4. Pseudomonas

Correct answer: 4. Pseudomonas

Explanation: Ans. is. 'd' i. e., Pseudomonas